After how many days of radiotherapy, mucositis appear:
1. 7 days.
2. 10 days.
3. 14 days.
4. 30 days.

Correct answer: 3. 14 days.

Explanation: After 12-17 days of radiotherapy, mucositis appears.